In AIDS there is a deficiency of which cell?
1. CD2
2. CD3
3. CD4
4. CD8

Correct answer: 3. CD4